A 25 years old female was diagnosed to have choriocarcinoma, management is:
1. Chemotherapy
2. Radiotherapy
3. Hysterectomy
4. Hysterectomy and then radiotherapy

Correct answer: 1. Chemotherapy

Explanation: Choriocarcinoma can be considered a carcinoma of chorionic epithelium. The characteristic difference from hydatidiform mole is the absence of villous pattern.(refer pgno:172 sheila textbook of obstetrics 2 nd edition)